True about wilson's disease A/E -
1. Autosomal dominant
2. Hemolytic anemia
3. Low serum ceruloplasmin
4. Zinc acetate is effective as maintenance

Correct answer: 1. Autosomal dominant